In a given population of 10,000 , people had 200 deaths in a year. Out of those 40 died due to HIV. What is proportional mortality Rate from HIV
1. 10%
2. 20%
3. 0.40%
4. 0.20%

Correct answer: 2. 20%